"Crumbled egg appearance" in liver seen in
1. Hepatic adenoma
2. Chronic amoebic liver abscess
3. Hydatid liver disease
4. Haemangioma

Correct answer: 3. Hydatid liver disease

Explanation: HYDATID CYST OF LIVER -Word meaning is 'dew drop' (Latin). In Greek, it means watery vesicle'. Camellotte sign: Following intra biliary rupture, gas enters into cyst causing partial collapse of the cyst wall. CT scan abdomen is more accurate in identifying cyst characteristics - cartwheel like - multivesicular rosette-like. Ref: SRB's manual of surgery,3 rd ed, pg no 534